Oncogene associated with burkitt's lymphoma is:
1. BCL-1, IgH
2. BCL-2, IgH
3. C-MYC
4. ALK

Correct answer: 3. C-MYC

Explanation: Disease Cytogenetic Abnormality Oncogene Mantle cell lymphoma t(11;14)(q13;q32) BCL-1, IgH Follicular lymphoma t(14;18)(q32;q21) BCL-2, IgH Diffuse large cell lymphoma t(3;-)(q27;-) t(17;-)(p13;-) BCL-6 p53 Burkitt's lymphoma, Burkitt's leukemia t(8;-)(q24;-) C-MYC CD30+ Anaplastic large cell lymphoma t(2;5)(p23;q35) ALK Lymphoplasmacytoid lymphoma t(9;14)(p13;q32) PAX5, IgH Ref: Harrison, E-18,P-921